Testicular Feminization syndrome is characterised by all except
1. Absent uterus
2. Primary amenorrhea
3. Normal breast
4. Barr body present

Correct answer: 4. Barr body present

Explanation: Karyotype in testicular feminization syndrome is 46 XY. Barr body is therfore absent.